Which of the following medication is absolutely contraindicated for mother when she is breast feeding her new born baby?
1. Amphetamines
2. Carbamazepine
3. Labetalol
4. Ibuprofen

Correct answer: 1. Amphetamines

Explanation: Medications absolutely contraindicated include: Lithium Cyclosporin Antineoplastic agents Drugslike cocaine, amphetamines, ergotamines, bromocriptine (which suppresseslactation). In general,antibiotics are safe, with only a few exceptions (such as tetracycline). While sedatives and narcotic pain medications are probably safe, the infant must be observed carefully for sedation.